Most contagious plague is -
1. Bubonic plague
2. Septicemic plague
3. Pneumonic plague
4. Wild plague

Correct answer: 3. Pneumonic plague

Explanation: Pneumonic plague is rare and generally follows as a complication of bubonic-septicaemic plague. It is highly infectious. Reference:Park's textbook of preventive and social medicine,K.Park,23rd edition,page no:295.